Cells are attached to their basal laminas by:
1. Hemidesmosomes
2. Macula adherens
3. Zonula adherens
4. Zonula occludens

Correct answer: 1. Hemidesmosomes

Explanation: Hemidesmosomes are specialized junctional complexes, that contribute to the attachment of epithelial cells to the underlying basement membrane. Macula adherens or desmosomes provide mechanical adhesion by linking the cytoskeleton of adjacent cells together. Zonula adherens or adhering junctions cause the epithelial cells to be organized into a properly polarized epithelium. Zonula occludens or tight junctions permit the passage of ions, solute and intracellular signaling molecules in between adjacent cells.